Commonest site of Necrobiosis Lipidoica Diabeticorum is:
1. Face
2. Neck
3. Leg
4. Ann

Correct answer: 3. Leg

Explanation: Leg